The following methods can be used to detect the point mutation in the beta (β)-globin gene that causes sickle cell anemia, except -
1. Polymerase chain reaction with allele-specific oligonucleotide hybridization
2. Southern blot analysis
3. DNA sequencing
4. Northern blot analysis

Correct answer: 4. Northern blot analysis

Explanation: To detect point mutation, DNA analysis is required. While northern blot is a test for study of RNA.
Polymerase chain reaction, DNA sequencing and southern blot testing are rapid methods for DNA analysis, and can all be used to detect the point mutation in the globin gene.